A neonate delivered at 38 weeks of gestation with a birth weight of 2.2 kg develops intolerance to feed /abdominal distension on second day. Physical examination is unremarkable. Sepsis screen is negative. PCV is observed to be 72%. Which of the following represents the best management option?
1. Hydration with IV Fluids
2. Partial Exchange Transfusion
3. Presumptive treatment for sepsis
4. Medical Management for intestinal obstruction

Correct answer: 2. Partial Exchange Transfusion

Explanation: Neonate mentioned in the case is suffering from neonatal polycythemia. Long term complications of neonatal polycythemia can be prevented by treating symptomatic children with partial exchange transfusion of blood. Ref: Neurology in Clinical Practice: The neurological disorders - Page 1108; Blueprints pediatrics By Bradley S. Marino, Katie Snead Fine, Julia A. McMillan, Page 183.